A 26 year old women in the first trimester of pregnancy has been admitted with retching and repeated vomiting with large hematemesis. Her pulse rate is 126/minute and blood pressure is 80 mm Hg systolic. The most likely diagnosis is
1. Mallory-Weiss syndrome
2. Bleeding from oesophageal varices
3. Peptic ulcer
4. Hiatus hernia

Correct answer: 1. Mallory-Weiss syndrome

Explanation: Ans. is a Mallory weiss syndrome Upper gastorintestinal bleeding : "Occasionally, persistent vomiting may be accompanied by worrisome upper gastrointestinal bleeding. The obvious concern is that there is a bleeding peptic ulceration, however, most of these women have minute linear mucosal tears near the gastroesophageal junction. Women with these co called Mallory-Weiss tears usually respond promptly to conservative measures."